Which of the following statements regarding the schilling test for vitamin B12 malabsorption is most accurate?
1. The schilling test results are abnormal in patients with dietary vitamin B12 deficiency.
2. In patients with pernicious anemia, the results of the schilling test normalize after oral administration of intrinsic factor,
3. In patients with ileal disease, the results of the schilling test normalize after oral administration of intrinsic factor
4. Pancreatic exocrine insufficiency does not cause schilling test results to be abnormal.

Correct answer: 2. In patients with pernicious anemia, the results of the schilling test normalize after oral administration of intrinsic factor,

Explanation: Answer is B (In patients with pernicious anemia, the results of the Schilling test normalize after oral administration of intrinsic factor): An abnormal Schilling's test that corrects or normalizes after administration of intrinsic factor suggests a diagnosis of Pernicious Anemia (Intrinsic Factor Deficiency). Shilling's test is done to determine the cause of cyanocobalamine deficiency (Vitamin B12).Schilling test is abnormal in conditions that affect cobalamine absorption including Pernicious anemia, Chronic Pancreatitis, Bacterial overgrowth syndrome and Ileal dysfunction. An Abnormal Schilling's test that corrects after administration of Intrinsic Factor indicates Pernicious Anemia An Abnormal Schilling's test that corrects after administration of Pancreatic Enzymes suggests Exocrine Pancreatic Insufficiency (from Chronic Pancreatitis) An Abnormal Schilling's test that corrects after administration of five days of antibiotics suggests Bacterial Overgrowth Syndrome An Abnormal Schilling's test that does not correct after administration of intrinsic factor, pancreatic enzymes and/or antibiotics suggests Ileal mucosal dysfunction